General sensation to the posterior one-third of the tongue is mediated by the -
1. Hypoglossal nerve
2. Vagus nerve
3. Glossopharyngeal nerve
4. Lingual nerve

Correct answer: 3. Glossopharyngeal nerve